Type 4 hypersenstivity to mycobacterium tuberculosis antigen may manifest as
1. Iridocyclitis
2. Polyarteritis nodosa
3. Phlyctenular
4. Giant cell arteritis

Correct answer: 3. Phlyctenular

Explanation: Most common ocular manifestation of TB is Phlyctenular keratoconjunctivitis Refer: Khurana 6th edition page number 83